Function of corticospinal tract is-
1. Motor supply to the trunk and limbs
2. Co-ordination of movements
3. Sensations of vibration of proprioception
4. It carries sensations of pain and temperature

Correct answer: 1. Motor supply to the trunk and limbs

Explanation: Ans. is 'a' i.e., Motor supply to the trunk and limbs * The corticospinal tract is a white matter motor pathway starting at the cortex that terminates on motor neurons in the neuromuscular junction, controlling movements of the limbs and trunk.